A 32 years old woman presents with high grade fever, muscle rigidity and altered sensorium. She is on chlorpromazine therapy for psychosis. The likely diagnosis is?
1. Neuroleptic malignant syndrome
2. Malignant hyperthermia
3. Akathisia
4. Tardive dyskinesia

Correct answer: 1. Neuroleptic malignant syndrome

Explanation: 1. Neuroleptic malignant syndrome (NMS) is a life-threatening reaction that can occur in response to neuroleptic or antipsychotic drugs. here patients presents with high fever, confusion, muscle rigidity, sweating, palpitation variable blood pressure. 2. NMS is highly associated with individuals using Butyrophenones, phenothiazines ( such as promethazine, chlorpromazine). these individuals are at greatest risk of developing NMS.